Pathognomonic of ectopic pregnancy is :
1. Purple hemorrhagic pregnancy in lower vagina
2. Decidual casts
3. Chadwick sign
4. Postcoital hemorrhage

Correct answer: 2. Decidual casts

Explanation: Decidual casts